Which one of the following is not a special incidence rate-
1. Attack rate
2. Secondary attack rate
3. Hospital admission rate
4. Standardized mortality rate

Correct answer: 4. Standardized mortality rate

Explanation: Ans. is 'd' i.e., Standardized mortality rate Special incidence rates i) Attack rate (case rate) ii) Secondary attack rate iii) Hospital admission rate